RCA latrine stands for
1. Research cum action Project
2. Revised cum action project
3. Regular cum action project
4. Reorientation cum action project

Correct answer: 1. Research cum action Project

Explanation: The Research Cum Action Project at Tamil Nadu, financed by the Ford Foundation and Ministry of Health, Government of India, has its genesis in 1956. The major objective of the project was to improve Educational Methods, Conducting Systematic Research in various Public Health Programmes and to evolve a Low-Cost Sanitary Latrine suitable for the rural household.pg no:795